In the WHO recommended EPI Cluster sampling for assessing primary immunization coverage, the age group of children to be surveyed is:-
1. 0-12 months
2. 6-12 months
3. 9-12 months
4. 12-23 months

Correct answer: 4. 12-23 months

Explanation: Cluster random sampling: Used for immunization coverage evaluation Error rate for immunization coverage evaluation - +- 5% WHO recommended technique - 30 x 7 Total sample size - 210 Intercluster disparity - even the cluster are not comparable to each other; To remove intercluster disparity, we use DESIGN effect 30 clusters selected by systematic random sampling